Keratoconus is seen in:
1. Patau syndrome
2. Down syndrome
3. Turner syndrome
4. Weber syndrome

Correct answer: 2. Down syndrome

Explanation: Ans. B: Down syndrome